The normal brown red colour of feces results from the presence of
1. Heme
2. Stercobilin
3. Biliverdin
4. Bilirubin diglucuronide

Correct answer: 2. Stercobilin